The highest point of the concavity behind the occipital condyles
1. Bolton point
2. Glabella
3. Prosthion
4. Basion

Correct answer: 1. Bolton point